National AIDS control Programme was started on -
1. 1977
2. 1980
3. 1987
4. 1990

Correct answer: 3. 1987

Explanation: Ans. is 'c' i.e., 1987 o National AIDS control Programme was launched in India in the year 1987. o The Govt. of India initiated programmes of prevention and raising awareness under the medium term plan (1990-92), NACP-I ( 1992-99) and NACP-II (1999-2000). o Based on the lessons learnt and achievements made in Phase I & Phase II, India has now developed the third National Programme Implementation plan (NACP-III, 2007-2012). o The primary goal of NACP-III is to halt and reverse the epidemic in India over the next 5 years by integrating programmes for prevention, care, support and treatment. o This will be achieved through 4-stages : ? 1. Prevention of new infection in high risk groups and general population through : ? a) Saturation of coverage of high risk group and targeted interventions. b) Scaled up interventions in the general population. 2. Providing greater care, support and treatment to a large number of people living with H1 V/AIDS. 3. Strenthening the infrastructure, system and human resources in prevention, care support and treatment programmes at the district, state and national levels. 4. Strengthening a nation-wide strategic information management system.